Which type of collagen defect in Good pasture Syndrome
1. Type I
2. Type II
3. Type III
4. Type IV

Correct answer: 4. Type IV

Explanation: (Type IV) (805- CMDT- 08) (2073-H17th)Good Pasture syndrome - is an uncommon auto immune disease characterized by the presence of circulating auto antibodies targeted against the non collagenous domain of the a3 chain of collagen IV* These antibodies initiate an inflammatory destruction of the basement membrane in kidney, glemeruli and lung alveoli, giving rise to proliferative usually RPGN and a necrotizing hemorrhagic interstitial pneumonitisAlport's syndrome - is hereditary nephritis, characterised by diffuse glomerular basement membrane thinning. There is defect in the synthesis of type IV collagen because there is a mutation in the gene encoding a- 5 chain of collagen type IV (Col 4A5) (AIIMS- 06)